Which index is used to score the outcome of treatment in patients with cleft lip and palate?
1. Index of Orthodontic Treatment Complexity (IOTC)
2. Summer’s Index
3. Index of Complexity Outcome and Need (ICON)
4. Goslon Yardstick

Correct answer: 4. Goslon Yardstick

Explanation: Goslon Yardstick Index was given by Mars et al (1987) is an acronymn for Great Ormond Street,  London and Oslo.
The Goslon (Great Ormond Street, London and Oslo) Yardstick is a clinical tool that allows categorization of the dental relationships in the late mixed and or early permanent dentition stage into ﬁve discrete categories. Cases are allocated to these categories on a value judgment basis by reference to the anchor groups of the Goslon Yardstick. The categorization was suﬃciently sensitive to distinguish the treatment results at diﬀerent centers. It is proposed that the Goslon Yardstick should facilitate cross-center studies.
Clinical tool that allows the categorization of dental relationships in late mixed dentition and early permanent dentition into ﬁve discrete categories.

Group 1: Excellent - No treatment
Group 2: Good - Simple orthodontic treatment/no treatment.
Group 3: Fair - Complex orthodontic treatment, good result anticipated.
Group 4: Poor - Limited orthodontic treatment without orthognathic surgery, if growth is favorable.
Group 5: Very poor - Orthognathic surgery, categorizes malocclusion in cleft lip & palate.

The orthodontics: basic aspects and clinical considerations
Page. No 302.